A multigravida woman in labor room, after delivery and placenta removal, uncontrolled bleeding was seen. What is the most common cause of PPH in this woman?
1. Atonic
2. Traumatic PPH
3. Clotting factor deficiency
4. Retained tissues

Correct answer: 1. Atonic

Explanation: Atonicity causes about 80% of PPH. Causes of PPH: Uterine atonicity (m/c) Injury to any part of genital tract Coagulopathy (von Willebrand's disease) Retained tissues - (Causes secondary PPH)